An early expanding stage is denoted by
1. Decreased birth rate and decreased death rate
2. Increased birth rate and increased death rate
3. Decreased birth rate and increased death rate
4. Unchanged birth rate and decreased death rate

Correct answer: 4. Unchanged birth rate and decreased death rate

Explanation: A nation passes through 5 stages of the demographic life cyclea)High stationary: High birth rate, High death rateb)Early expanding: Birth rate begins to decline, birth rate remains unchangedc)Late expanding: Death rate declines further, birth rate tends to fall (India Now)d)Fourth stage: Low birth and death rate e)Declining: Birth rate lower than the death ratePark 23e pg: 479